b-oxidation of fatty acids with odd number of carbon atoms yield -
1. Acetyl CoA
2. Propionyl CoA
3. Both
4. None

Correct answer: 3. Both

Explanation: Ans. is 'c' i.e., Botho Even chain fatty acids are b-oxidized to acetyl Co A.o Odd chain fatty acids are also p-oxidized normally but the last step produces a b-carbon propionyl CoA along with an acetyl CoA (instead of 2 molecules acetyl CoA that occurs in even chain fatty acids),o For example, a C-17 fatty acid produces 7 acetyl CoA molecules and one propionyl CoA molecule by b- oxidation,o Propionyl CoA is catabolized to succinyl CoA, a krebs cycle intermediate via methvlmalonyl CoA. so, propionyl CoA enters the gluconeogenic process.o This three carbon units (propionl CoA) from odd chain fatty acids is the only part of a fatty acid that is glucogenic.